Dose of Oseltamavir (Tamiflu) for Chemoprophylaxis against H1N1 Influenza is:-
1. 75mg OD for 5 days
2. 75 mg OD for 7 days
3. 75 mg OD for 10 days
4. 75 mg OD for 6 weeks

Correct answer: 3. 75 mg OD for 10 days

Explanation: H1N1 Risk factors : Child < 2yrs ; pregnancy ; old aged > 65yrs ; COPD; Chronic heart/ hepatic/ kidney disease; Pts on Aspirin therapy; Morbid obesity Lab diagnosis : -RTPCR Sample used : Nasopharyngeal swabs Chemoprophlaxis for H1N1 Swine flue: Oseltamivir 75 mg OD X 10 days Therapy/DOC for H1N1 Swine Flu : Oseltamivir 75mg BD X 5 Days